Most common cause of empyema is:
1. Bronchopleural fistula
2. Tubercular pneumonia
3. Bacterial pneumonia
4. Pleurisy

Correct answer: 3. Bacterial pneumonia

Explanation: Ans. is 'c' Bacterial pneumonia .Causes of empyema in decreasing order of frequency.Bacterial pneumoniaT.B. pneumoniaBronchiectasisLung abscess